Boundaries of the pterygomandibular space includes all the following EXCEPT
1. Lateral pterygoid muscle.
2. Parotid gland.
3. Masseter muscle
4. Buccinator muscle

Correct answer: 3. Masseter muscle